Mass prophylaxis is given for a/e-
1. Lymphatic fillariasis
2. Vitamin A deficiency
3. Scabies
4. Worm infestation

Correct answer: 3. Scabies